All the following drugs are used for Absence seizures except -
1. Clonazepam
2. Phenytoin
3. Valproate
4. Ethosuximide

Correct answer: 2. Phenytoin

Explanation: Ans. is 'b' i.e., Phentytoin First choice Alternatives o Absence seizure o Valproate o Lamotrigine o Ethosuximide o Clonazepam